The non sedative anti histamine are all except
1. Fexofenadine
2. Desloratidine
3. Levocitrizine
4. Cinnerazine

Correct answer: 4. Cinnerazine

Explanation: Cinnarizine is an antiemetic agent. it is an international product. It is used in the treatment of peripheral and central vestibular symptoms, as well as labyrinthine disorders such as vertigo, dizziness, tinnitus, nystagmus, nausea, and vomiting. It is used as prophylaxis for motion sickness. Refer kDT 6/e p156